In Burkitts lymphoma, translocation seen is chromosome-
1. 12-14 translocation
2. 8 -14 translocation
3. 4 - 8 translocation
4. 12-18 translocation

Correct answer: 2. 8 -14 translocation

Explanation: Ans. is 'b' i.e., 8-14 translocation Chromosomal translocationsAssociated Neoplasmao 8-14 -Burkitfs lymphoma. Acute lymphocytic leukemia (FAB type L3) Immunoblastic B cell lymphomao 15-17-Promyelocytic leukemiao 4-11-Acute lymphocytic leukemiao 11-14-Chronic lymphocytic leukemiao 14-18-Some B cell lymphomaso 6-14-Cystadenocarcinoma of ovayo 3-8-Renal adenocarcinoma, mixed parotid tumour.